Subclavian steal syndrome results due to obstruction of
1. 1st part of subclavian artery
2. 2nd part of subclavian artery
3. 3rd part of subclavian artery
4. Subclavian vein

Correct answer: 1. 1st part of subclavian artery

Explanation: The proximal part of left subclavian is blocked on left side so no flow in vertebral and to left arm. Blood from right vertebral enters left vertebral and flows back to supply left arm.